Marsupialization is the procedure done in
1. Large cyst
2. P.D. cyst
3. Aneurismal bone cyst
4. Stafne cyst

Correct answer: 1. Large cyst